A 2-year-old child presents with loose stools. On examination she has signs of severe dehydration. If her weight is 10 kg, what would be the volume of fluid to be given in the first 3 hours?
1. 1000 ml
2. 100 ml
3. 200 ml
4. 1500 ml

Correct answer: 1. 1000 ml

Explanation: For treatment of severe dehydration in a 2 yr child (10 kg wt), 100 ml/kg is to be given over 3 hrs, i.e. 100 x 10 = 1000 ml